Unilateral supranuclear lesion of facial nerve involves
1. Whole of face
2. Only ipsilateral upper part of the face
3. Only contra lateral lower part of the face
4. Whole of lower face

Correct answer: 3. Only contra lateral lower part of the face